Which of the following is related with 'gastrocolic reflex'?
1. Mass peristalsis
2. Segmental movement
3. Pendular movement
4. Colonic disorder

Correct answer: 1. Mass peristalsis

Explanation: Gastrocolic reflex is a long reflex arc that is initiated by gastric distension. The reflex produces a generalized increase in colonic motility (peristalsis) with mass movement of feces. Mechano- and chemo sensitive components of the gastrocolic reflex are present, and 5-HT and ACh appear to be important mediators of the response. The function of this reflex is to clear the colon to ready it to receive the residues of the new meal. Ref: Barrett K.E., Barman S.M., Boitano S., Brooks H.L. (2012). Chapter 27. Gastrointestinal Motility. In K.E. Barrett, S.M. Barman, S. Boitano, H.L. Brooks (Eds), Ganong's Review of Medical Physiology, 24e.